Maximum dose of PGF2 alpha in postpartum hemorrhage is
1. 0.25 mg
2. 2 mg
3. 20 mg
4. 200 mg

Correct answer: 2. 2 mg

Explanation: Max dose of PGF2 alpha in postpartum haemorrhage is 2 mg. Carboprost tromethamine (Hemabate) is the 15-methyl derivative of Prostaglandin F2 alpha. It is approved for uternine atony treatment in a dose of 250mcg (0.25 mg) given intramuscularly. This dose can be repeated if necessary at 15- to 90- minutes intervals up to maximum of eight doses (2 mg) C/I- Asthmatic women and those with suspected amniotic fluid embolism (as they cause pulmonary airway and vascular condstriction) It is the best drug to control PPH. Is also used an abortifacient in second trimester. Ref: Williams Obstertrics 24th edition PGno: 760